Kennedy bar is also known as:
1. Double lingual bar
2. Lingual plate
3. Lingual bar
4. Palatal plate

Correct answer: 1. Double lingual bar